Which of these scenarios poses least risk of neonatal varicella pneumonia, born to a mother with varicella?
1. Mother develops rash 2 days before delivery
2. Mother develops rash during post natal hospital stay
3. Mother develops rash 10 days before delivery
4. Mother develops rash just before delivery and was started on acyclovir

Correct answer: 3. Mother develops rash 10 days before delivery

Explanation: REMEMBER: Appearance of maternal infection from 5 days before to 5 days after delivery - baby is at increased risk - avoid delivery in this window, unless indicated - if delivered, give baby VZIG ( Varicella Zoster Immunoglobulin) Explanation: Fetal exposure to the virus just before or during delivery, and therefore before maternal antibody has been formed, poses a serious threat to newborns. The incubation period for varicella infection is short, usually less than 2 weeks. In some instances, neonates develop disseminated visceral and central nervous system disease, which is commonly fatal. For this reason, VZIG or zoster immunoglobulin (ZIG) should be administered to neonates whenever the onset of maternal disease is within about 5days before or after delivery. Neonates exposed earlier or later are protected by maternal antibody, and perinatal mortality is minimal.